Cherry red hypostasis is seen in -
1. Dhatura poisoning
2. Cyanide poisoning
3. Carbon monoxide poisoning
4. Aniline poisoning

Correct answer: 3. Carbon monoxide poisoning

Explanation: CO affinity to myoglobin is about 40 times greater than oxygen & affinity to haemoglobin is 200-300 times greater. It acts as a chemical asphyxiant by reducing the oxygen carrying capacity of blood and produces death due to anaemic anoxia. POSTMORTEM CHANGES A cherry red coloration of skin,mucus membranes, conjunctiva,nail beds, areas of hypostasis, blood ,tissue and internal organs is seen in 15-20% cases It is associated with 30-40% COHb This cherry red discolouration changes to dark green and then to brown. Ref: K.S.Narayan Reddy's Synopsis of Forensic Medicine and Toxicology, 29th edition, Chapter 35, page- 347.